Which is the most common vessel affected in subdural hemorrhage?
1. Middle meningeal artery
2. Aneurysm of anterior cerebral artery
3. Bridging veins
4. Basilae artery

Correct answer: 3. Bridging veins

Explanation: Subdural hemorrhage commonly occurs following acceleration and deceleration injury of bridging veins.